Melatonin, plays an important role in sleep-wake cycle, is secreted by:
1. Pineal gland
2. Thyroid gland
3. Ant. pituitary
4. Pancreas

Correct answer: 1. Pineal gland

Explanation: Melatonin is an endogenous hormone that is normally secreted by the pineal gland and is believed to be involved with the circadian sleep-wake cycle. Melatonin synthesis and secretion are increased during the dark period of the day and maintained at a low level during daylight hours. This diurnal variation in secretion is brought about by norepinephrine secreted by the postganglionic sympathetic nerves that innervate the pineal gland. Ref: Barrett K.E., Barman S.M., Boitano S., Brooks H.L. (2012). Chapter 14. Electrical Activity of the Brain, Sleep--Wake States, & Circadian Rhythms. In K.E. Barrett, S.M. Barman, S. Boitano, H.L. Brooks (Eds), Ganong's Review of Medical Physiology, 24e.